The antiepilectic drug which does not produce enzyme induction is
1. Phenobarbitone
2. Sodium valproate
3. Phenytoin sodium
4. Carbamazepine

Correct answer: 2. Sodium valproate

Explanation: The four major enzyme-inducing AEDs (carbamazepine, phenytoin, phenobarbital and primidone) stimulate the metabolism and reduce the serum concentration of most other concurrently administered AEDs, most notably valproic acid , tiagabine , ethosuximide , lamotrigine , topiramate , REF : KD TRIPATHI 8TH ED.